Creatine is synthesized from which of the following?
1. Methionine
2. Histidine
3. Proline
4. Lysine

Correct answer: 1. Methionine

Explanation: Creatine is synthesized from glycine, arginine, and methionine. clinical importance: 1. Creatine kinase has 3 isoenzymes, which are elevated in the following diseases: CK-MM: Muscular dystrophy, acute kidney injury, autoimmune myositis, hypothyroidism, malignant hyperthermia, and drug-induced myopathy CK-BB: Stroke, brain injury, and meningitis CK-MB: Myocardial infarction, and myocarditis 2. Normally, creatinine is rapidly removed from the blood and excreted in the urine. Hence, creatinine clearance is a sensitive indicator of kidney function. Reference: Harpers illustrated biochemistry 30th edition